Which of the following change occur secondary to hypercarbia?
1. Miosis
2. Cool extremities
3. Bradycardia
4. Hypertension

Correct answer: 4. Hypertension

Explanation: Hypercarbia from any cause increase the release of catecholamines and cause hypertension. It cause increase in HR, myocardial contractility, high systolic blood pressure, wide pulse pressure, greater cardiac output and higher pulmonary pressures. Effects of hypercarbia are: Increased respiratory drive Anxiety, restlessness, tachycardia, hypertension and arrhythmias Peripheral vasodilatation Increases in cerebral blood flow and intracranial pressure Decreased level of consciousness and coma Causes of hypercarbia: Most common cause: alveolar hyperventilation. It can be due to airway obstruction, narcotics, CNS disorders, PNS disorders, chest wall disorders. V/Q inequality Increased dead space Ref: Clinical Intensive Care and Acute Medicine By Ken Hillman page 291. Essentials of Anaesthesiology By Arun Kumar Paul page 218